Most common site of perforation in tympanic membrane is
1. Anteroinferior
2. Posteroinferior
3. Anterosuperior
4. Posterosuperior

Correct answer: 1. Anteroinferior

Explanation: In the stage of resolution, usually, a small perforation is seen in the anteroinferior quadrant which is commonest of all quadrants of pars tensa. (Ref: Textbook of diseases of ENT, PL Dhingra, pg no. 68)